Which of the following is not seen is Apoptosis
1. Chromatin condensation
2. DNA fragmentation
3. Inflammation
4. Cell membrane shrinkage

Correct answer: 3. Inflammation

Explanation: Ref . Robbins 8/e p26-7 Inflammation is not seen in Apoptosis Chromatin condensation is the most characterised feature of Apoptosis .other finding like cell membrane shrinkage and DNA fragmentation are also associated with Apoptosis